Hospital waste product accounts – a)  Paper 40%b)  Plastic 10%c)  Infectious waste 30%d) Rage 30%e)  Glass 4%
1. ab
2. ad
3. bc
4. be

Correct answer: 4. be